A lady in the second trimester underwent a hemogram and her hemoglobin was found to be 6mg%. The gynaecologist suggested for IV transfusion of packed red cells to improve the level.

Anaemia can manifest as all of the following, except
1. Headache
2. Vertigo
3. Delirium
4. Tinnitus

Correct answer: 3. Delirium